Which is not seen in Meniere's disease:
1. Tinnitus
2. Hearing loss
3. Loss of consciousness
4. Vertigo

Correct answer: 3. Loss of consciousness

Explanation: Cardinal symptoms of Meniere's disease are: Episodic vertigo, fluctuating hearing loss, tinnitus and sense of fullness or pressure in the involved ear Meniere's disease "Classic Meniere's" is considered to have the following symptoms: Attacks of rotational vertigo that can be severe, incapacitating, unpredictable, and last anywhere from minutes to hours, but generally no longer than 24 hours. This combines with an increase in volume of tinnitus and temporary, albeit significant, hearing loss. Hearing may improve after an attack, but often becomes progressively worse. Nausea, vomiting, and sweating sometimes accompany vertigo, but are symptoms of vertigo, and not of Meniere's. Fluctuating, progressive, unilateral or bilateral hearing loss, usually in lower frequencies. For some, sounds can appear tinny or distorted, and patients can experience unusual sensitivity to noises. Unilateral or bilateral tinnitus. A sensation of fullness or pressure in one or both ears. Some may have parasitic symptoms, which aren't necessarily symptoms of Meniere's, but rather side effects from other symptoms. Vertigo may induce nystagmus, or uncontrollable rhythmical and jerky eye movements, usually in the horizontal plane, reflecting the essential role of non-visual balance in coordinating eye movements. Sudden, severe attacks of dizziness or vertigo, known informally as "drop attacks," can cause someone who is standing to suddenly fall Meniere's disease is idiopathic, but it is believed to be linked to endolymphatic hydrops, an excess of fluid in the inner ear. Edolymphatic fluid bursts from its normal channels in the ear and flows into other areas, causing damage. This is called "hydrops." The membranous labyrinth, a system of membranes in the ear, contains a fluid called endolymph. The membranes can become dilated like a balloon when pressure increases and drainage is blocked. This may be related to swelling of the endolymphatic sac or other tissues in the vestibular system of the inner ear, which is responsible for the body's sense of balance. Endolymphatic duct may be obstructed by scar tissue, or may be narrow from birth. In some cases there may be too much fluid secreted by the stria vascularis. The symptoms may occur in the presence of a middle ear infection, head trauma, or an upper respiratory tract infection, or by using aspirin, smoking cigarettes, or drinking alcohol. A detailed otolaryngological examination, audiometry and head MRI scan should be performed to exclude a vestibular schwan.noma or superior canal dehiscence which would cause similar symptoms. There is no definitive test for Meniere's, it is only diagnosed when all other causes have been ruled out.